All of the following physiological processes occur during the growth at the epiphyseal plate except-
1. Proliferation and hypertrophy
2. Calcification and ossification
3. Vasculogenesis and erosion
4. Replacement of red bone marrow with yellow marrow

Correct answer: 4. Replacement of red bone marrow with yellow marrow

Explanation: At the epiphyseal growth plate (physis) new bone growth occurs by the process of endochondral ossification i.e. ossification of proliferating cartilage. This process sequentially involves proliferation and hypertrophy of chondrocytes, their calcification, and vascular invasion. Replacement red bone marrow with white marrow is not seen.